Indications of celiotomy in blunt trauma:
a) Grade I spleen damage
b) Grade II liver damage
c) Peritoneal air on imaging
d) Positive DPL
e) Severe hypotension
1. abc
2. bde
3. cde
4. acd

Correct answer: 3. cde